Positive Rinne test is seen in -
1. Otosclerosis
2. CSOM
3. Wax impacted ear
4. Presbycusis

Correct answer: 4. Presbycusis